Keratoderma is/are seen in
1. Pemphigus
2. Pityriasis rosea
3. Pityriasis rubra pilaris
4. Dermatitis herpetiformis

Correct answer: 3. Pityriasis rubra pilaris

Explanation: C i.e. Pityriasis rubra pilaris Keratoderma is seen in PRP, psoriasis, Reiter's syndrome (keratoderma blenorrhagica), arsenic and Haxthausen's disease.